Which is not a complication of chicken pox -
1. Pancreatitis
2. Pneumonia
3. Encephalitis
4. Thrombocytopenia

Correct answer: 1. Pancreatitis

Explanation: Complications

The most common infectious complication of varicella is the secondary bacterial superinfection of the skin, which is usually caused by Streptococcus pyogenes or Staphylococcus aureus.
The most common extracutaneous site of involvement in children is CNS.
Varicella pneumonia is the most serious complication following chickenpox in adults.